Fibroadenoma of the breast are:
1. Fixed mass
2. Diffuse mass
3. Multiple diffuse mass
4. Solitary mobile mass

Correct answer: 4. Solitary mobile mass

Explanation: Ans. (d) Solitary mobile mass(Ref: Schwartz 10/e p510)* Fibroadenoma is the MC benign tumor of Female breast* MC in 15-30 years* Also known as Breast mouse